A 45-year-old male presented with features of hyperthermia, bronchodilatation, constipation and palpitations. he is likely to be suffering from the poisoning of
1. OP compound
2. Oximes
3. Atropine
4. Mushroom

Correct answer: 3. Atropine

Explanation: Atropine produce dry skin, tachycardia or palpitations, bronchodilatation Ref: Goodman Gillman 11th ed pg 234-235